Which among the following drugs is NOT used orally?
1. Lignocaine
2. Verapamil
3. Phenytoin
4. Quinidine

Correct answer: 1. Lignocaine